The more appropriate term for annealing of direct filling of gold is
1. Bridging
2. Cold welding
3. Stepping
4. Desorbing

Correct answer: 4. Desorbing

Explanation: PREPARATION OF DIRECT FILLING GOLD  
FOR RESTORATION:
Prior to placing direct filling gold in the cavity preparation, the dentist heats the material to remove the protective coating or wax introduced by the manufacturer, or contaminants on the surface acquired during storage and packaging. Individual pellets can be held over an open flame of pure alcohol, or a group of pellets or other gold forms can be placed on a so-called annealing plate heated by electricity. This step is commonly called annealing, heat treatment, or degassing. A more appropriate term would be desorption.
Phillips 12 ed page no 414